Cardiovascular causes of digital clubbing include all of the following Except:
1. Infective Endocarditis
2. Arteriovenous Fistulos
3. Tricuspid Atresia
4. Aortic Dissection

Correct answer: 4. Aortic Dissection

Explanation: Answer is D (Aortic Dissection) Aortic Dissection is not a known cause for digital clubbing: Digital clubbing results from long standing conditions that take months to develop. It is not associated with acute event like aortic dissection Cardiovascular causes of Digital clubbing (Ultra medicine (2005)/285) Subacute Bacterial Endocarditis(SBE) Cyanotic congenital Heart Disease - Tetralogy of Fallot (TOF) - Transposition of Great vessels (TGV) - Total Anomolous pulmonary venous circulation (TAPVC) - Ebstein's Anomaly - Tricuspid Atresia Atrial Myxoma Arterio venous malformations (Brochial arteriovenous fistula) Axillary artery Aneurysms Clubbing is a feature of Subacute Bacterial Endocarditis (SBE) and is not seen in Acute Bacterial Endocarditis Acute endocarditis is a fitIminant event while clubbing takes months to develop. Acute bacterial endocarditis is not associated with clubbing.